Battle's sign is presented in:
1. Anterior cranial fossa fracture
2. Middle cranial fossa fracture
3. Posterior cranial fossa fracture
4. Fracture lesser wing of sphenoid

Correct answer: 2. Middle cranial fossa fracture

Explanation: Skull base is formed by Anterior cranial fossa Middle cranial fossa Posterior cranial fossa - Formed by frontal bone - Formed temporal & sphenoid bone - Formed by occipital bone Cribriform plate: Sievert like structure between anterior cranial fossa & nasal cavity Anterior cranial Fossa fracture Middle cranial fossa fracture Posterior cranial fossa fracture - MC type of skull base fracture - Caused by fracture of cribriform plate Clinical feature: - Subconjunctival hematoma - CSF rhinorrhea - Epistaxis - Peritoneal hematoma or "Raccoon eyes" - Carotico cavernous fistula - Frontal lobe contusion - Caused by fracture of petrous part of temporal bone Clinical feature: - CSF otorrhea - Paradoxical rhinorrhea - Hemotympanum Battle sign: Bruising or ecchymosis behind ear - Ossicular disruption - VII & VIII cranial nerve palsies - Temporal lobe contusion - Caused by fracture of occipital bone Clinical features: - Visual disturbances - VI cranial nerve injury - Jugular foramen syndrome (Vernet syndrome): Paresis of IX, X, XI cranial nerves - Basilar artery injury - Occipital contusion